Which infection is not common in HIV patients ?
1. Cryptosporidiosis
2. Atypical mycobacterial infection
3. Aspergillosis
4. Candidiasis

Correct answer: 3. Aspergillosis

Explanation: Ans. is 'c' i.e., Aspergillosis "Invasive Aspergillosis is not an AIDS defining illness and is generally not seen in patients with AIDS in the absence of neutropenia or administration of glucocorticoids" Ans. is 'c' i.e., Aspergillosis